The mammary gland is an eostrogen responsive organ. Which statement about estrogen is NOT true about eostrogen or mamary gland?
1. Estrogen is produced primarily by the ovary
2. Estrogen is produced in the placenta
3. Estrogen promotes growth of the duct system
4. Estrogen promotes growth of the lobules and acini

Correct answer: 4. Estrogen promotes growth of the lobules and acini

Explanation: The breast tissue is responsive to hormones. Estrogen is primarily produced by the ovary and is important for the increased size of the breast during puberty and again in pregnancy, when estrogen is produced by the placenta. Estrogen promotes fat deposition and growth of both stroma and the duct system of the breast. Progesterone, also produced by the ovary, stimulates growth of the lobules and acini.